Typical appearance of diabetic cataract is:
1. Sunflower type
2. Breadcrumb type
3. Polychromatic lusture
4. Snow flake appearance

Correct answer: 4. Snow flake appearance

Explanation: ANSWER: (D) Snow flake appearanceREF: Kanski 5th edition page 166, Parsons diseases of eye 20th edition page 253, Ophthalmology 2nd edition Yanoff page 328Type of cataractCauseSnow flake/snow storm cataractDiabetes meliitusDown's syndromeSunflower/Petals of flower cataractWilson s diseaseChalcosis (mild reaction to copper)Penetrating trauma (with retention to copper)Blue dot cortical cataractAtopic dermatitisMyotonic dystrophyVossius ringRosette shaped cataractBlunt traumaChristmas tree cataractMyotonic dystrophiaOil drop cataractDust like lenticular opacityGalactosemiaBreadcrumb appearance Polychromatic lustureRainbow' cataractComplicated cataract/Secondary cataractMorgagnian cataractHypermature senile cataract